All except one is true regarding cerebral cortex
1. Cerebral cortex is made up of six layers
2. Granule cells are more in number in sensory cortex
3. Outer band of baillarger is present in outer granular layer
4. Inner band of baillarger is present in inner pyramidal layer

Correct answer: 3. Outer band of baillarger is present in outer granular layer

Explanation: Band of baillarger is horizontally running myelinated nerve fibers present in cerebral cortex, due to which visual cortex is referred to as striate cortex. Outer band is present in inner granular layer (layer no-4), and inner band is present in inner pyramidal layer (layer no-5)